Adenomatoid odontogenic tumour is most commonly found in
1. Anterior mandible
2. Posterior maxilla
3. Anterior maxilla
4. Ramus of mandible

Correct answer: 3. Anterior maxilla